The true pulse in the retinal arteries is seen
1. Aortic aneurysm
2. Aortic regurgitation
3. Exophthalmic goitre
4. All of the above

Correct answer: 4. All of the above

Explanation: Ans. All of the above